which is more in cow's milk compared to buffalo milk -
1. Fat
2. Protein
3. Water
4. Calcium

Correct answer: 3. Water

Explanation: Ref: Park 25th edition Pgno : 692